Excessive ultraviolet [uv) radiation is harmful to life'. The damage caused to the biological systems by ultraviolet radiation.
1. Inhibition of DNA synthesis
2. Formation of thymidine dimmers
3. Ionization
4. DNA fragmentation

Correct answer: 2. Formation of thymidine dimmers

Explanation: UV rays causes DNA damage by forming TT dimers (pyrimidine dimmers) which prevents replication